Most potent topical corticosteroid is -
1. Hydrocortisone butyrate cream 0.1 %
2. Betamethasone valerate cream 0.1%
3. Clobetasol propionate cream 0.5%
4. Clobetasol butyrate cream 0.5%

Correct answer: 3. Clobetasol propionate cream 0.5%

Explanation: Ans. is 'c' i.e., Clobetasol propionate cream 0.5% Classification of topical corticosteroids based on potencyClass 1 (Superpotent)Clobetasol propionate cream & ointment 0.5% Betamethasone propionate ointment 0.05%Halobetasol propionate cream & ointment 0.05%Class 2 (Highly potent)Mometasone furoate ointment 0.1%Class 3 (Potent)Betamethasone dipropionate cream 0.05%Fluticasone propionate ointment 0.05%Class 4 (Moderately Potent)Fluocinolone acetonideointment 0.025%Fluticasone propionate cream 0.05%Mometasone furoate cream 0.1 %Class 5 (Moderately Potent)Betamethasone valerate cream 0.1%Hydrocortisone butyrate cream 0.1%Class 6 (Mildly Potent)Desonide cream 0.05%Fluocinolone acetonide solution 0.05%Class 7 (Least Potent)Dexamethasone cream 0.1 %Hydrocortisone 1 %